Causative organism of Weil disease is:
1. Leptospira interrogans
2. Leptospira biflexa
3. Leptospira wolhachii
4. Leptospira inadai

Correct answer: 1. Leptospira interrogans

Explanation: Ref: Ananthanarayan, Paniker CJ. Textbook of Microbiology. 6th Ed. London: John Wiley & Sons; 2000. & Gillespie SH, Hawkey PM. Principles and Practice of Clinical Bacteriology. 2nd Ed. London: John Wiley & Sons; 2006.Explanation:Leptospira interrogans, comprises all pathogenic strains such as Icterohaemorrahgiaea, Canicola. Pomonaa. Australisa, Autumnalisa, Pyrogenesa. Grippotyphosaa.All the serovars mentioned above are capable of causing Weil's disease.L. biflexa, L. inadai and L. wolhachii are non- pathogenic and do not result in Weil's diseaseWeil's syndromeJaundice (Profound)Renal dysfunction (II wk onwards)hemorrhagic diathesisLab DiagnosisBlood- Early disease. Urine- Late disease, CSF- Late disease. Serum (Antibodies)Microscopy - silver stainingDark Ground Microscopy - Blood & UrineCulture - EMJH medium -Ellinghausen. McCullough, Jhonson & HarrisSerologyELISA - IgM & IgGMAT - Microscopic agglutination Test (Gold Standard)Treatment - Doxycyclin, Penicillin G or Ceftriaxone